Which of the following has no role in management of acute onset hyperkalemia?
1. Intravenous bicarbonate
2. Nebulization with salbutamol
3. Calcium chloride
4. Intravenous regular insulin

Correct answer: 1. Intravenous bicarbonate

Explanation: Acute onset hyperkalemia 1st line Management - Calcium chloride IV Insulin drip Salbutamol Nebulization Never CaCo3 Bicarbonate is only used when there is Metabolic acidosis present with value of pH range of 7.1 or lesser